In Mafan's syndrome lens dislocation is commonly seen:
1. Upwards
2. Downwards
3. Supero-temporally
4. Nasally

Correct answer: 3. Supero-temporally

Explanation: Ans. Supero-temporally